Crypta magna is seen in:
1. Nasopharyngeal tonsil
2. Tubal tonsil
3. Palatine tonsil
4. Lingual tonsil

Correct answer: 3. Palatine tonsil

Explanation: The medial surface of palatine tonsils is covered by non keratinizing stratified squamous epithelium which dips into the substance of tonsil in the form of crypts. One of these crypts is very large and deep and is called crypta magna or intratonsillar deft.